Calcium Channel blocker with maximum effect on conduction in heart is -
1. Nifedipine
2. Diltiazem
3. Verapamil
4. Phenylamine

Correct answer: 3. Verapamil

Explanation: Ans. is 'c' i.e., Verapamil